During inspiration the main current of air flow in a normal nasal cavity is through:
1. Middle part of the cavity in a parabolic curve
2. Lower part of the cavity in a parabolic curve
3. Superior part of the cavity in a parabolic curve
4. Through olfactory area

Correct answer: 1. Middle part of the cavity in a parabolic curve

Explanation: (a) Middle part of the cavity in a parabolic curve(Ref. Cummings, 6th ed., 626)The main current of airflow passes through the middle part of the nose in a parabolic curve both during inspiration and expiration.